Regarding osteoporosis, all of the following statements are true except:
1. Raised alkaline phosphatase
2. DEXA scan is helpful
3. Reduced bony matrix
4. Cod fish appearance on X-ray

Correct answer: 1. Raised alkaline phosphatase

Explanation: Ans: A i.e. Raised alkaline phosphatase Osteoporosis Serum calcium, phosphates & alkaline phosphatase are within normal limits. DEXA scan is an X-ray based bone densitometry, & is the gold standard in the quantification of bone mass Osteoporosis is characterised by a diffuse reduction in the bone density due to a decrease in the bone mass X-ray shows Cod fish appearance (disc bulges into the adjacent vertebral bodies so that the disc becomes biconvex)